When heparin is given in pregnancy, which of the following is to be added ?
1. Iron folic acid
2. Copper
3. Calcium
4. Zinc

Correct answer: 3. Calcium

Explanation: side effects of heparin haemorrhage heparin induced thrombocytopenia osteoporosis fat necrosis and hematomas elevated transaminases to counteract osteoporosis calcium is added TEXTBOOK OF OBSTETRICS,SHEILA BALAKRISHNAN,PG NO:577,2ND EDITION